Bechterew disease is?
1. Ankylosing spondylitis
2. Bechet's disease
3. Sjogren's syndrome
4. Psoriasis

Correct answer: 1. Ankylosing spondylitis

Explanation: ANSWER: (A) Ankylosing spondylitisREF: Diagnostic Neuroradiology by Valery N. Kornienko, I.N. Pronin p.1277 Bechterew's disease is other name for ankylosing spondylitis or Marie-Striimpell diseaseAlso know:[?] Bechterew's test. The patient in the sitting position attempts to extend each leg one at a time followed by an attempt to extend both legs. The sign is positive if backache or sciatic pain is increased or the maneuver is impossible. In disc involvements, extending both legs will usually increase spinal and sciatic discomfort. Used to rule out a lumbosacral intervertebral disc protrusion.[?]Bechterew's phenomenon: Vestibuloocular and vestibulospinal reactions following the bilateral loss of vestibular function are designated as Bechterew's phenomenon. In vestibular physiology, under experimental conditions, this phenomenon has played an important role for understanding the mechanisms underlying vestibular compensation